What is monitored in a patient of Pre eclamsia ?
1. Uric acid
2. Platlet count
3. LFT
4. All of the above

Correct answer: 4. All of the above

Explanation: Ans. is 'd' i.e. All of the abov Investigations in a case of Pre eclampsia* URINE for proteins/albumin. 24 hours urine protein* CBC: There is hemoconcentration so HB values are false elevated. Low platlets indicate HELLP syndrome* Sr uric acid: It is a biochemical marker of preeclampsia. Raised levels (>4.5 mg/dl) indicate renal involvement and also correlate with severity of preeclampsia, volume contraction and fetal jeopardy.* LFT: SGOT, SGPT, Bilirubin* RFT: Sr creatinine* Coagulation profile may be required in severe cases:i) BTii) CTiii) PT, APTTiv) Fibrinogen levelsv) FDP